Type 'C' tympanogram is seen in
1. Serous Otitis media
2. Otosclerosis
3. Ossiullor discontinuity
4. Eustachian Tube blockade

Correct answer: 4. Eustachian Tube blockade